All are true about breastfeeding except :
1. It is available at proper temperature
2. Breastmilk contains antibodies
3. Exclusive breastfeeding upto 6 months of age
4. To be started after 4 hours of normal delivery

Correct answer: 4. To be started after 4 hours of normal delivery

Explanation: Breastfeeding is the normal way of providing young infants with the nutrients they need for healthy growth and development.
Virtually all mothers can breastfeed, provided they have accurate information, and the support of their family, the health care system and society at colostrums, the yellowish, sticky breast milk produced at the end of pregnancy, is recommended by WHO as the perfect food for the newborn, and feeding should be initiated within the first hour after birth.